Which of following acts as a vector of West Nile fever?
1. Culex mosquito
2. Tick
3. Mite
4. Flea

Correct answer: 1. Culex mosquito

Explanation: (A) Culex mosquito# West Nile virus (or WNV) is a virus of the family Flaviviridae. Part of the Japanese encephalitis (JE) antigenic complex of viruses, it is found in both tropical and temperate regions. It mainly infects birds, but is known to infect humans, horses, dogs, cats, bats, chipmunks, skunks, squirrels, and domestic rabbits. The main route of human infection is through the bite of an infected mosquito.> Transmission The proboscis of an Aedes albopictus mosquito feeding on human blood. Under experimental conditions, the Aedes albopictus mosquito (also known as the Asian Tiger Mosquito) has been found to be a vector of West Nile Virus. The virus is transmitted through mosquito vectors, which bite and infect birds. The birds are amplifying hosts, developing sufficient viral levels to transmit the infection to other biting mosquitoes which go on to infect other birds (in the Western hemisphere the American robin and the American crow are the most common carriers) and also humans. The infected mosquito species vary according to geographical area; in the US Culex pipiens (Eastern US), Culex tarsalis (Midwest and West), and Culex quinque- fasciatus (Southeast) are the main sources